The shelf life of blood with CDPA -
1. 2 weeks
2. 3 weeks d
3. 5 weeks
4. 8 weeks

Correct answer: 3. 5 weeks

Explanation: citrate-phosphate-dextrose with adenine (CPDA-1) preservative was developed. The addition of adenine improved the synthesis of adenosine triphosphate (ATP) in the stored blood, which prolonged the storage of blood/red cells at 2-4 degC to 35 days. Ref: Medscape